Shade determination of composite resin restoration on a tooth should be done;
1. Before placement of rubber dam
2. On a dry tooth
3. Under bright light
4. Using a dry shade guide

Correct answer: 1. Before placement of rubber dam